In uterine prolapse, decubitus ulcer in the cervix is caused by :
1. Friction
2. Malignant change
3. Venous congestion
4. Trophic changes

Correct answer: 3. Venous congestion

Explanation: Venous congestion